According to Transplantation of Humans Act, all of the following specialist are authorized for pronouncing brain death except:
1. Neurosurgeon
2. Doctor performing the liver transplant
3. Doctor attending the patient
4. RMP in charge of the hospital

Correct answer: 2. Doctor performing the liver transplant

Explanation: Ans. (B). Doctor performing the liver transplantAccording to THOA, Brain stem death is certified by a board of medical experts consisting of all of the followingRegistered Medical Practitioner (RMP) in charge of hospital where brain death has occurredQRMP treating the patientQA Neurologist/Neurosurgeon nominated by panelQAn independent RMP - a specialistQAs per latest amendment, if neurologist is not available, any surgeon, physician, anaesthetist or intensivist, nominated by medical in-charge of the hospital may certify brain death.Transplant Surgeon should never be a part of the team.